ApoB is related to all EXCEPT:
1. HDL
2. LDL
3. VLDL
4. Chylomicrons

Correct answer: 1. HDL

Explanation: ApoB-100 is associated with LDL and VLDL whereas apoB-48 is associated with chylomicrons